Drug of choice for Digoxin induced Ventricular Tachycardia:
1. Propranolol
2. Dilitiazem
3. Verapamil
4. Lignocaine

Correct answer: 4. Lignocaine

Explanation: Digoxin induced V.Tachycardia Can lead to V.Bigeminy (Normal + premature contractions alternatively) DOC: Lignocaine